Nephrocalcinosis is seen in
1. Medullary sponge disease
2. Acute pyelonephritis
3. Acute glomerulonephritis
4. Chronic pyelonephritis

Correct answer: 1. Medullary sponge disease

Explanation: Answer is A (Medullary sponge kidney) Medullary sponge kidney and Hyperparathyroidism are established causes ofNephrocaleinosis.